Placenta with umbilical cord attached to its margin is called:
1. Battledore placenta
2. Circumvallate placenta
3. Succenturiate placenta
4. Velamentous placenta

Correct answer: 1. Battledore placenta

Explanation: Ans. A. Battledore placentaIn Battledore placenta, the umbilical cord is attached to the margin of placenta. It is associated with low implantation of the placenta; there is chance of the cord compression in vaginal delivery leading to foetal anoxia and even death.Succenturiate placenta: An extra placenta separates from the main placentaVelamentous cord insertion is an abnormal condition during pregnancy. Normally, the umbilical cord inserts into the middle of the placenta as it develops. In Velamentous cord insertion, the umbilical cord inserts into the fetal membranes (chorioamniotic membranes), then travels within the membranes to the placenta (between the amnion and the chorion). The exposed vessels are not protected by Wharton's jelly and hence are vulnerable to rupture. Rupture is especially likely if the vessels are near the cervix, in which case they may rupture in early labor, likely resulting in a stillbirth. Early detection can reduce the need for emergency cesarean sections